A young female Shagun comes to you in the gynaecology OPD and gives the history that she had intercourse with her boyfriend 5 hours back. Select the drug that can act as a single dose postcoital contraceptive for her:
1. Clomiphene citrate
2. Mifepristone
3. Danazol
4. Medroxyprogesterone acetate

Correct answer: 2. Mifepristone

Explanation: * Single dose of mifepristone taken within 72 hours of unprotected intercourse is an effective method to prevent pregnancy. * Two tablets of OCP within 72 hours of unprotected intercourse followed by 2 tablets after 12 hours can also be used as a post-coital contraceptive method. * Two tablets of levonorgestrel (0*75 mg each) taken 12 hours apart can also be used for emergency contraception.